Deep inguinal ring is present in?
1. Internal oblique muscle
2. Lacunar ligament
3. Fascia tranversalis
4. Transversus abdominis

Correct answer: 3. Fascia tranversalis

Explanation: Ans. c (Fascia transversalis). (Ref. Bailey and Love, Surgery 25th/pg.885, BD Chaurasia, Vol 1, 2nd/151).BOUNDARIES OF INGUINAL CANALAnterior - Apponeurosis of external oblique & reinforced laterally by origin of internal obliquePosterior - fascia transversalis, reinforced in medial l/3rd by conjoint tendonFloor - Inguinal ligamentRoof - Arching fibers of internal oblique & transversus abdominis# Inguinal canal is 4 cm long.# Deep inguinal ring:- is an oval opening in fascia transversalis, situated half inch above the midinguinal point and just lateral to inferior epigastric artery.- It transmits spermatic cord in males and round ligament of uterus in females.- Direct hernia occurs through it.# Superficial inguinal ring:- is triangular defect in aponeurosis of external oblique.